Most common ovarian tumor in pregnancy is?
1. Dermoid cyst
2. Gonadoblastoma
3. Theca cell tumor
4. Serouscystadenoma

Correct answer: 1. Dermoid cyst

Explanation: Ans. is 'a' i.e., Dermoid cyst Dermoid Cyst (Mature Cystic Teratoma)o It is a benign teratomao It is the most common benign tumor of the ovary in the reproductive age groupo It is the most common benign neoplasm diagnosed during pregnancyo It is the most common germ cell tumoro It is the commonest tumor to undergo torsion.o Lining epithelium is stratified squamous epithelium. Squamous cell carcinoma is seen if the dermoid cyst undergoes a malignant change (0.5 - 2%).o It usually contains derivatives of ectoderm, endoderm and mesoderm. Most common tissue element in dermoid cyst is ectodermal.o Characteristically they are unilocular cyst containing hair and cheesy sebaceous material, teeth, bones, thyroid tissue and cartilage.o On cross section they typically show an area of localized growh from which hair projects, teeth and bone are seen. It is called Rokintansky protruberance or dermoid process.